Cystic hygroma may be associated with:
1. Turner's syndrome
2. Klinefelter's syndrome
3. Down's syndrome
4. All of the above

Correct answer: 4. All of the above

Explanation: Ans. D: All of the above Karyotypic abnormalities are present in 25-70% of children with Cystic Hygroma. CH has been noted to be more common in persons with: Turner's syndrome Klinefelter's syndrome Down's syndrome In addition, several nonchromosomal disorders, including Noonan syndrome, Fryns syndrome, multiple pterygium syndrome, and achondroplasia, are associated with an increased incidence of CH. Intrauterine alcohol exposure has been associated with the development of lymphangiomas. Dissolution of bone caused by either lymphangiomas or hemangiomas is termed Gorham-Stout syndrome